The factor which promotes virulence of M.tuberculosis -
1. Wax D
2. Cord factor
3. Muramyl dipeptide
4. Mycolic acid

Correct answer: 2. Cord factor

Explanation: Factors responsible for virulence of Mycobacterium tuberculosis- * Cord factor Lipo arabino mannose Heat shock protein